Dineshbhali Shah suffering from AIDS is on Zidovudine, lamivudine and Indnavir therapy. He develops pulmonary tuberculosis for which treatment is to be started. Which of the following should be avoided in him?
1. Rifampicin
2. INH
3. Ethambutol
4. Pyrazinamide

Correct answer: 1. Rifampicin

Explanation: Ans. is 'a' i.e., Rifampicin Rifampicin induces metabolism of ritonavir, indinavir and saquinavir, thus it should not be used with these drugs. Rifabutin can be used.